The highest risk of uveitis in Juvenile idiopathic arthritis (JIA) is associated with _______
1. RF positive polyarthritis
2. Systemic JIA
3. ANA-positive oligoarthritis
4. Enthesis-related arthritis

Correct answer: 3. ANA-positive oligoarthritis

Explanation: ANA positive oligoarthritis is associated with the highest risk for uveitis. The presence of a positive antinuclear antibody (ANA) confers increased risk for uveitis in children with JIA and requires periodic slit-lamp examination. Ref: Nelson textbook of pediatrics 21st edition Pgno: 1260, 1261